Which valve is present at opening of nasolacrimal duct-
1. Hasner's valve
2. Heister valve
3. Spiral valve
4. None

Correct answer: 1. Hasner's valve

Explanation: Ans. is 'a' i.e., Hasner's valve o Nasolacrimal duct opens into inferior meatus and is closed by a mucosal flap called Hasner's valve,o Heister valve (spiral valve) is present in cyclic duct.